Malignant ovarian tumor seen in dysgenetic gonads:
1. Serous cystadenocarcinoma
2. Endodermal sinus tumor
3. Granulosa cell tumor
4. Dysgerminoma

Correct answer: 4. Dysgerminoma

Explanation: Ans. is d, i.e. DysgerminomaM/C benign ovarian tumor seen in dysgenetic gonads is gonadoblastomaM/C malignant ovarian tumor in dysgenetic gonads is dysgerminoma.